All of following are causes of bronchopulmonary dysplasia except -
1. Oxygen toxicity
2. Theophyline use
3. Traumatic damage to lungs
4. Pulmonary odema due to capillary damage

Correct answer: 2. Theophyline use

Explanation: Ans. is 'b' i.e., Theophylline use Bronchopulmonary dysplasia (BPD1 o BPD is a result of lung injury in infants requiring mechanical ventilation and supplemental oxygen. o Most of the children with BPD are premature and have hyaline membrane disease. But, BPD can also occur in full term newborns with meconium aspiration or persistent pulmonary hypertension. Pathogenesis o The premature lung makes insufficient functional surfantant and the antioxidant defence mechanisms are not sufficiently mature to protect the lung from the toxic oxygen metabolites generated from oxygen therapy.